Which of the following cranial nerves are attached to medulla:
1. 1st&2nd.
2. 3rd&4th.
3. 5,6,7,8.
4. 9,10,11,12.

Correct answer: 4. 9,10,11,12.

Explanation: 1st and 2nd are attached to forebrain.
3rd&4th to midbrain.
5,6,7,8 to pons